Flexion of MCP joint and extension of IP joints is the major action of ?
1. Palmar interossei
2. Dorsal interossei
3. Lumbricals
4. FDS

Correct answer: 3. Lumbricals

Explanation: Ans. is 'c' i.e., LumbricalsAmongs the given options three muscles cause flexion of MCP joint and extension of IP joint.LumbricalsPalmar interosseiDorsal interosseiBut these movements are mainly produced by lumbricals. Palmar and dorsal interossei assist the lumbricals for these movements.Their major action is :?Palmar interossei -4 Adduction of fingersDorsal interossei - Abduction of fingers